Drug used for intralesional injection of keloid is ?
1. Prednisolone
2. Triamcinolone
3. Androgen
4. Hydrocortisone

Correct answer: 2. Triamcinolone

Explanation: Ans. is 'b' i.e., Triamcinolone Triamcinolone acetonide is the drug used for intralesional injection of steroid. Also know Treatment of hypertropic scars/Ref: CSDT13/e pI105 (11/e p1243)] Since nearly all hypertrophic scars undergo some degree of spontaneous regression, they are not t/t in early phases. If the scar is still hypertrophic after 6 months surgical excision and primary closure of the wound is indicated. Other modalities used for t/t of HTS. Pressure application - particularly useful for burn scars. Silicone sheet application Intralesional injection of triamcinolone is the t/t of choice for intractable HTS.